The following structure may be injured during the repair of an inguinal hernia
1. Ilioinguinal nerve
2. Lateral femoral urtaneous nerve
3. Iliohypogastic nerve
4. All of the above

Correct answer: 4. All of the above